Following are potential complications of gene therapy except:
1. Genotoxicity
2. Genome integration
3. Gene silencing
4. Immunotoxicity

Correct answer: 2. Genome integration

Explanation: b. Genome integration(Ref: Nelson's 20/e p 584-586)Problems with gene therapy especially with viral vectors include toxicity, immune and inflammatory responses.